Least common complication of fall from height is -
1. Fracture base of skull
2. Fracture calcaneum
3. Fracture fibula
4. Fracture 12th thoracic vertebra

Correct answer: 3. Fracture fibula

Explanation: Fall from height may be associated with fractures of weight transmission axis : -

Base of skull : - Atlanto-axial area
Spine : Dorsolumbar spine
Pelvis and Hip (Proximal femur)
Leg : Tibia
Ankle & foot : Calcaneum, talus, Lower end tibia.

Fall from height is the least important cause of fracture fibula as fibula does not lie in the direct axis of weight transmission.